Which of the following statement regarding dual sex therapy is true?
1. Patient alone is not treated
2. Uses sildenafil
3. It treats sexual perversions
4. It is used for people with dual gender identities

Correct answer: 1. Patient alone is not treated

Explanation: The theoretical basis of dual-sex therapy is the concept of the marital unit or dyad as the object of therapy. In dual-sex therapy, treatment is based on a concept that the couple must be treated when a dysfunctional person is in a relationship. Because both are involved in a sexually distressing situation, both must participate in the therapy program. Dual sex therapy aka "Master and Johnson therapy".